An 8-year-old boy from an impoverished inner-city area has never been vaccinated appropriately. He develops fever, cough, and coryza. The next day, blue white spots develop on the buccal mucosa. On the third day, an erythematous, nonpruritic maculopapular rash develops on the face and spreads over the entire body. Which of the following is the most likely complication?
1. pneumonia
2. encephalitis
3. otitis media
4. bronchitis

Correct answer: 3. otitis media

Explanation: The most common complication of measles is otitis media, other complications include mastoiditis, pneumonia, bronchitis, encephalitis, and lymphadenitis. Otitis media is usually a bacterial superinfection, and should be treated with antibiotics.